A pt. presents with hematuria of several days and dysmorphic RBC casts in urine. The site of origin is :
1. Kidney
2. Ureter
3. Bladder
4. Urethra

Correct answer: 1. Kidney

Explanation: Ans. is 'a' ie kidney " Isolated microscopic hematuria can be a manifestation of glomerular disease. The RBCs of glomerular origin are often dysmorphic."" Hematuria with dysmorphic RBCs, RBC casts and protein excretion > 500 mg/day is virtually diagnostic of glomerulonephritis."SoDysmorphic RBCs - origin is kidney*RBCs cast - origin is kidney *Broad cast - Seen in chronic renal diseases.Granular cast - ARF*Waxy casts - seen in chronic renal disease.WBC casts - pyelonephritis*.Also rememberHematuria is defined as two to five RBCs per high power fieldNormal RBCs excretion is upto 2 million RBCs/day